During pregnancy HIV transmission occurs mostly during -
1. 1st trimester
2. 2nd trimester
3. 3rd trimester
4. During labour

Correct answer: 4. During labour

Explanation: An HIV positive woman can transmit the virus to her baby during pregnancy, labor and through breastfeeding. Maximum chances of mother to child transmission is during intrapartum period The risk of Mother to child transmission can be reduced to as low as 2% if ARV is given during pregnancy and labour and then to the infant in the first weeks of life.